Pipkin classification is used for
1. Acetabular fractures
2. Pelvis ring fracture
3. Femoral head fracture
4. Femoral shaft fracture

Correct answer: 3. Femoral head fracture

Explanation: COMMON FRACTURES CLASSIFICATION FRACTURECLASSIFICATIONOpen fracturesGustilo & Anderson Supracondylar Humerus Galand ( based on displacement )Proximal Humerus Neer ( 4 part fractures )Distal Radius Frykman , FermandezPelvis Young & Burgess, TileFemoral head Pipkin's classificationFemoral neck ( Pediatric )Delbet classificationFemoral neck ( Adult )Pauwel ( Based on fracture angle )Garden ( Based on displacement )Intertrochanteric Boyd & Griffin , Evans Femoral shaft Winquist & Hansen ( Based on degree of communition ) Tibial plateau SchatzkerPilon fracture Ruedi -AllgowerAnkle Lauge -Hansen , Danis- Weber Talar neck Hawkin Calcaneum Essex -Lopresti , Sanders ( Based on CT findings )Physeal injuries Salter - Harris Classification (Refer: Mohindra's Fundamentals of Orthopedics, 2nd edition, pg no. 125)